A 60 yr old male had a sudden fall in toilet. His BP was 90/50 mm Hg and pulse was 100/min. His relatives reported that his stool was black/dark in colour. Further careful history revealed that he is a known case of hypertension and coronary artery disease and was regularly taking aspirin, atenolol and sorbitrate. The most likely diagnosis is
1. Gastric ulcer with bleeding
2. Acute myocardial infarction with cardiogenic shock
3. Acute cerebrovascular accident
4. Pulmonary embolism

Correct answer: 1. Gastric ulcer with bleeding